For extra-articular manifestation of RA, select the most likely diagnosis.Most common form of eye involvement
1. Felty's syndrome
2. rheumatoid vasculitis
3. episcleritis
4. Sjogren's syndrome

Correct answer: 4. Sjogren's syndrome

Explanation: Direct eye involvement with the rheumatoid process (episcleritis or scleritis) occurs in less than 1% of patients. However, 15-20% may develop Sjogren's syndrome with attendant keratoconjunctivitis sicca.